A 15yr female patient develops loss of appetite cough followed by neck rigidity. CSF examination shows: glucose 40 mg, protein 150 mg%, chloride 52 meq/L and with full of lymphocytes. Which of the following the most likely diagnosis in this patient?
1. Tubercular meningitis
2. Brain abscess
3. Bacterial meningitis
4. Viral encephalitis

Correct answer: 1. Tubercular meningitis

Explanation: Tubercular meningitis Normal CSF findings Tuberculous CSF finding Viral CSF findings Bacterial CSF finding Gross appearance Clear (may clot) Clear Turbid Pressure Increased Increased Increased Glucose (40-70 mg/dl) Decreased Normal Decreased Protein (20-50) mg/dl Increased Normal Increase Chloride (116-122 mg/dl) Decrease Lymphocytosis Decrease Cells <5/u ; Pleocytosis (lymphoses but initially neutrophilia may be seen) Neutrophilia